The DCCT (Diabetes Control & Complication Trial) provided definitive proof that reduction in chronic hyperglycemia helps to improve:
1. Micro vascular complications of Type I DM
2. Macro vascular complications of Type I DM
3. Micro vascular complications of Type II DM
4. Macro vascular complications of Type II DM

Correct answer: 1. Micro vascular complications of Type I DM